Enterotoxigenic E. Coli causes:
1. Haemolytic uremic syndrome
2. Ischemic jejunitis
3. Toxic shock syndrome
4. Travellers diarrhea

Correct answer: 4. Travellers diarrhea

Explanation: Option 1 HUS By EHEC or Shigella dysenteriae type 1. Dissemination of toxin- Verocytotoxin or Shiga toxin to glomerular capillaries. Option 2 Ischemic jejunitis: Not caused by any pathogen. Due to local or systemic pathlogy Option 3 Toxic shock syndrome By Staphylococcus aureus or Streptococcus pyogenes. Due to toxins that act as superantigens. Option 4 ETEC Most common cause of traveler's diarrhea in the world. Most common cause of bacterial diarrheas in all ages.